Kyasanur Forest Disease is caused by:
1. Flavivirus
2. Reovirus
3. Calicivirus
4. Retrovirus

Correct answer: 1. Flavivirus

Explanation: Ans. A. FlavivirusTwo genera of medical importance in FLA viruses: -a. Flavivirus: arthropod borne virusesb. Hepacivirus: Hepatitis C virus, non-arthropod borneHuman diseases caused by flavivirusesSyndromeVectorVirusEncephalitisMosquitoJapanese encephalitisMurray valley encephalitisSt. Louis encephalitisWest Nile fever virus TickLouping ill, PowassanRussian spring summer encephalitisYellow feverMosquito (Aedes aegypti)Yellow feverDengueMosquito (Aedes aegypti)Dengue 1,2,3,4Hemorrhagic feverMosquito (Aedes aegypti)Dengue 1,2,3,4 TickOmsk hemorrhagic feverKyasanur forest disease